Vomer ala and sphenoidal rostrum junction is:
1. Syndesmosis
2. Synostosis
3. Schindylesis
4. Gomphosis

Correct answer: 3. Schindylesis

Explanation: Spheno-vomerine joint is a schindylesis suture at the roof of the nasal cavity.